Epiphyseal origin tumour is
1. Osteo claustoma
2. Osteogenic sarcoma
3. Ewing's sarcoma
4. Osteo blastoma

Correct answer: 1. Osteo claustoma

Explanation: (Osteoclaustoma) (181 - Apley's 8th)* Ewing's sarcoma - is believed to arise from endothelial cells / Diaphysis* Osteogenic sarcoma - Metaphysis* Chondrosarcoma - Any where in the bone* Osteoclaustoma & Chondroblastoma - Epiphysis* Osteoblastoma - diaphysis or metaphysis* Giant cell tumour (oslcoclaustoma) is a lesion of uncertain origin* that appears in mature bone